All are predominant arteriolar dilators, EXCEPT
1. Diazoxide
2. Minoxidil
3. Hydralazine
4. Na nitroprusside

Correct answer: 4. Na nitroprusside

Explanation: Ans. is 'd' i.e., Na Nitroprusside